Serine of Chymotrypsin is changed with Proline. Which of the following will happen ?
1. Chymotrypsin can catalyze the protein but cannot bind it
2. Chymotrypsin can bind the protein but cannot catalyze it
3. Chymotrypsin can bind as well as can catalyze the protein
4. Chymotrypsin can neither bind nor can catalyze the protein

Correct answer: 2. Chymotrypsin can bind the protein but cannot catalyze it

Explanation: Serine Catalytic amino acid in Chymotrypsin Whenever catalytic amino acid is changed, then the enzymatic activity decreases or getsabolished. Histidine and Aspartate residues in the active site of chymotrypsin have the function of binding to peptide/protein substrate. They are not changed so the enzyme is able to bind but not catalyze. Extra Edge: Examples of Serine proteases Chymotrypsin Trypsin Elastase Thrombin Plasmin Complement proteins Clotting factors X, XI PSA, Prostate-specific Antigen =It is found that Serine proteases have a role in tumor cell metastasis. =It is called site specific/directed mutagenesis (oligonucleotide with single base change- UCA (serine) changes to CCA (proline))